The following is not true aboCandidaida albicans
1. Yeast like fungus
2. Forms chlamydospores
3. Blastomeres seen in isolates
4. Causes meningitis in immunocompromised

Correct answer: 3. Blastomeres seen in isolates

Explanation: Blastomeres are one of the cells resulting from the cleavage of the feilised ovum. Candida albicans - form chlamydospores in cornmeal agar at 20C at the end of pseudohyphae. Candida causes mucocutaneous lesions, skin and nail infections, systemic candidiasis (UTI, pulmonary candidiasis, endocarditis, meningitis.). Ref: Textbook of Microbiology, Ananthanarayan and Paniker; 9th edition .